Will's gauge is used to measure
1. Vertical height
2. Bi-zygomatic width
3. Inter condylar distance
4. Inter papillary width

Correct answer: 1. Vertical height